Incompetent lips refer to
1. Inability of the Lips to cover the incisors in the mandibular relaxed position
2. Inability of the lips to cover the incisors in occlusion
3. The lips come in between the upper and lower incisors
4. Tongue thrusts against the Lips during swallowing

Correct answer: 1. Inability of the Lips to cover the incisors in the mandibular relaxed position